Corkscrew esophagus on barium swallow is seen in which of the following conditions?
1. Carcinoma esophagus
2. Scleroderma
3. Achalasia cardia
4. Diffuse esophagus spasm

Correct answer: 4. Diffuse esophagus spasm

Explanation: In diffuse esophageal spasm(DES), barium swallow shows that normal sequential peristalsis below the arch of aorta is replaced by uncoordinated simultaneous contractions that produce the appearance of curling or multiple ripples in the wall, sacculations, and pseudodiverticula called the cork screw esophagus. The classic manometric findings in these patients are characterized by the frequent occurrence of simultaneous waveforms and multi-peaked esophageal contractions, which may be of abnormally high amplitude or long duration. Ref: Mayo Clinic Internal Medicine Board Review By Amit Ghosh, MD, 9th Edition, Page 235; Cancer of The Upper Gastrointestinal Tract By Mitchell C. Posne, Chapter 27; Schwartz's Principles of Surgery, 9th Edition, Chapter 25